All of the following statements are true regarding central nervous system infections, EXCEPT :
1. Measles virus is the causative agent for subacute sclerosing pan encephalitis (SSPE)
2. Cytomegalo virus causes bilateral temporal lobe hemorrhagic infarction
3. Prions infection causes spongiform encephalopathy
4. JC virus is the causative agent for progressive multifocal leucoencephaiopathy

Correct answer: 2. Cytomegalo virus causes bilateral temporal lobe hemorrhagic infarction

Explanation: Answer is B (Cytomegalovirus causes bilateral temporal lobe haemorphic infarction) : CNS manifestation of CMV include meningoencephalitis and retinits. Haemorrhagic infarctions have not been mentioned as any feature of ('M11/ retinitis. All other options mentioned are true as explained below: Progressive multifocal leukoencephalopathy (PML) Progressive disorder characterized pathologically by multifocal areas of demyelination disturbed throughout CNS. JV virus (Human papovirus) grows in human glial cells and is found in oligodendrocytes of patients of PML. - Ananthnarayan 7`11/562 Subacute sclerosing panencephalitis (SSPE) Progressive disorder characterized by demyelination of CNS Associated with a chronic infection of brain tissue with measles virus. - Harrisons Spongiform encephalopathy 'Disorders characterized by pongioform change' i.e. intracellular vacuoles in neurons and glia Associated with infection with Prion proteins. - Robbins